Most common cause of common cold is?
1. Virus
2. Bacteria
3. Fungus
4. Allergic

Correct answer: 1. Virus

Explanation: Ans. (a) VirusRef: Harrison 18/e, chapter 186